Refractive power of eye depends upon mainly following factor/factors –a) Lensb) Corneac) Vitreous haemorrhage d) Aqueous Humoure) Axial length of the eye
1. abc
2. bcd
3. abe
4. acd

Correct answer: 3. abe

Explanation: Factors that determine the refractive power of the eye 

Power of the cornea (determined by refractive index & radius of curvature)
The depth of the anterior chamber (the distance of the lens from the cornea)
The diopter power of the lens
The length of the eye